Dose of acyclovir in a patient suffering from herpes labialis:
1. 200 mg, five times a day for 5 days
2. 400 mg, five times a day for 3 days
3. 600 mg, five times a day for 5 days
4. 800 mg, five times a day for 7 days

Correct answer: 1. 200 mg, five times a day for 5 days

Explanation: Herpes labialis by HSV-I - T/t Acyclovir 200mg 5 times a day for 5-7 days Recurrent H.labialis (i.e. >6 episodes 1yr) - prophylactic therapy Acyclovir 400mg BDx 6 Months Herpes genitalis HSV-II - T/t Acyclovir 400mg TDS for 5-7 days